Neck is compressed between two bamboos in
1. Garrotting
2. Mugging
3. Smothering
4. Bansdola

Correct answer: 4. Bansdola

Explanation: Bansdola It is considered a form of strangulation where the neck is compressed in between two bamboos or other sticks, one in front and the other behind the neck. The ends of the sticks are tied with a rope through which the victim is squeezed to death Ref: TEXTBOOK OF FORENSIC MEDICINE AND TOXICOLOGY KRISHNAN VIJ FIFTH EDITION PAGE 134